Used for averting smoking habit is
1. Buspirone
2. Bupropion
3. Methadone
4. Venlafaxine

Correct answer: 2. Bupropion

Explanation: Bupropion (also called as amfebutamone a NDRI antidepressant )and varenicline are pharmacological agents recently used in promoting smoking cessation as adjuvant to behavioural or cognitive behaviour treatment (Ref: a short textbook of psychiatry, Niraj Ahuja,7th edition, page no.52)